Which of the following enzymes is deficient in albinism?
1. Phenylalanine hydroxylase
2. Homogentisic acid oxidase
3. Tyrosinase
4. P - hydroxyphenyl pyruvic oxidase

Correct answer: 3. Tyrosinase

Explanation: Ans. is 'c' i.e., Tyrosinase